Bacteriophage was discovered by:
1. Robert Koch
2. Twort and d'herelle
3. Menkin
4. Metchinkoff

Correct answer: 2. Twort and d'herelle